The absolute refractory period of an action potential is due to:
1. Insufficient neurotransmitter
2. Depletion of intracellular Na+
3. Inactivation of Na+ K+ ATPase
4. Voltage inactivation of the Na+ channel

Correct answer: 4. Voltage inactivation of the Na+ channel